In a removable partial denture, the clasps provide
retention and stability; support is provided by
1. Minor connector
2. Occlusal rests
3. Rigid portion of the class arm
4. Resilient portion of the class arm

Correct answer: 2. Occlusal rests